Caries activity score  = a + b1  (diet) + b2  (age) is an example of :
1. Simple linear regression
2. Multiple linear regression
3. Simple logistic regression
4. Multiple logistic regression

Correct answer: 2. Multiple linear regression

Explanation: Types of Regression:
If dependent variable is Quantitative → apply